To minimise ureteric damage, the following preoperative and operative precautions may be taken except:
1. Cystoscopy
2. Direct visualisation during surgery
3. Ureter should not be dissected off the peritoneum for a long distance
4. Bladder should be pushed downwards and outwards while the clamps are placed near the angles of vagina

Correct answer: 1. Cystoscopy

Explanation: New this question can be done with common sense as to minimize ureteric damage, all the options given in the questions hold good except cystoscopy. What is the role of visualizing bladder prevent ureteric surgery. Rather if it would have been IVP, then it would be correct.